Maximum risk of ectopic pregnancy is after reversal/failure of which of these female sterilisation procedures?
1. Laparoscopic electrocoagulation
2. Laparoscopic clips
3. Laparoscopic rings
4. Pomeroys ligation

Correct answer: 1. Laparoscopic electrocoagulation

Explanation: Approximately half of the pregnancies that follow a failed electrocoagulation procedure are ectopic, compared with only 10 percent following failure of a ring, clip, or tubal resectionmethod